Left bundle branch block (LBBB) on ECG can suddenly develop in all of the following except
1. Acute MI
2. Ashman syndrome
3. Hypokalemia
4. Hyperlcalernia

Correct answer: 3. Hypokalemia